In sickle cell anemia, glutamic acid is replaced by
1. Valine
2. Alanine
3. Glycine
4. Aspartic Acid

Correct answer: 1. Valine